Short stature, secondary to growth hormone deficiency is associated with -
1. Normal body proportion.
2. Low birth weight
3. Normal epiphyseal development
4. Height age equal to skeletal age

Correct answer: 1. Normal body proportion.

Explanation: Ans. is 'a' i.e., Normal body proportion Short stature due to Human Growth hormone deficiency in characterized by ? 1. Ratio of upper to lower segment is normal. 2. Bone age or epiphyseal development in less than chronological age by about 2 years. 3. Children's are normal in height and weight at birth. 4. Delay in growth is usually observed after the age of one year. Bone age in less than the chronological age in - o Constitution delay in puberty. o Marked delayed in hypothyroidism and hypopituitarism. o Moderate delay in malnutrition and chronic illnesses. Bone age is advance than height age in o Down's syndromes Intrauterine infections o Turners syndrome